Sterilization is defined as ?
1. Disinfection of skin
2. Complete destruction of all microorganisms
3. Destruction of pathogenic organisms
4. Decrease bacterial count from objects

Correct answer: 2. Complete destruction of all microorganisms

Explanation: Ans. is 'b' i.e., Complete destruction of all microorganisms Sterilization The process by which an article surface or medium is freed of all living microorganisms either in the vegetative or spore state Complete absence of microorganism. Disinfection Destruction or removal of all pathogenic organisms capable of giving rise to infection reduction in the microorganisms to such a level which is deemed no longer harmful to health. Unlike sterilization, disinfection is not sporicidal (does not kill spores). Decontamination The process of rendering of an article or area free of danger from contaminants, including microbial, chemical, radioactive and other hazards. Antisepsis It is defined as" Prevention of infection, usually by inhibiting the growth of bacteria in wound or tissues". Antiseptics Chemical disinfectants which can be safely applied to skin or mucous membrane are called antiseptics or skin disinfactant. Best and most commonly used antiseptic is povidone iodine (betadine). Commonly used skin disinfactants for hand washing are povidone iodine (betadine), chlorhexidine and isopropyl alcohol. Disinfectants Antimicrobials applied only to inanimate object. They are not used for surface disinfection(A"9) (skin or mucous membrane). Germicides These include both antiseptics and disinfectant.